Which of the following is the effect of preeclampsia on the glomerular filtration
1. Increases
2. Decreases
3. Remains the same
4. May increase or decrease

Correct answer: 2. Decreases

Explanation: During normal pregnancy, renal blood flow and glomerular filtration rate are increased appreciably In Pre Ecclapmsia, renal perfusion and glomerular filtration are reduced due to glomerular endotheliosis. It blocks the barrier which allows filtration.